Which is true of Ulcerative colitis
1. String sign of kantor positive
2. Skip lesions are seen
3. Rectum is always involved
4. Fistulas are common

Correct answer: 3. Rectum is always involved